Tumor marker of HCC
1. AFP
2. Alpha fucosidases
3. DCGP
4. Carbohydrate antigen

Correct answer: 1. AFP

Explanation: Tumor markers of HCC Protein induced by Vitamin K absence (PIVKA; Des-gamma-carboxy prothrombin); glypican-3; AFP fractions Lectin fraction-3 of SFP (AFP-L3) is highly specific to HCC and also indicator of poorly differentiated histology and unfavourable prognosis Serum AFP level is elevated above 20ng/mp in >70% of patients with HCC Monoclonal antibody HeoPar-1(hepatocyte paraffin-1) identifies a unique antigen on hepatocyte mitochondria and is used to identify hepatocytes or HCC Ref:Sabiston 20th edition 1458-1463